Features of Acute Fulminant Hepatic failure include all of the following Except:
1. Hyperglycemia
2. Hypomagnesemia
3. Hepatorenal syndrome
4. Intracranial hemorrhage

Correct answer: 1. Hyperglycemia

Explanation: Answer is A (Hyperglycemia) : Fulminant hepatic failure is associated with hypoglycemia and not with hyperglycemia Hypoglycemia is a common complication of severe .fulmincmt hepatic failure. The pathophysiology of hypoglycemia is multifactorial including impaired hepatic glucose release, impaired hepatic gluconeogenesis and elevated serum insulin levels. All patients with jahninant hepatic failure are recommended to recieve a continuous intravenous infusion of 10% dextrose to counteract hypoglycemia